Which is not a part of hypopharynx -
1. Posterior cricoid region
2. Ary epiglottic folds
3. Posterior pharyngeal wall
4. Pyriform fossa

Correct answer: 2. Ary epiglottic folds